"Potter's syndrome" is associated with
1. Renal anomalies
2. Severe oligohydramnio's
3. Flattened nose
4. All of the above

Correct answer: 4. All of the above

Explanation: JCDR - Potter's Syndrome, oligohydramnios, Potter's facies, pulmonary hypoplasia. Potter's Syndrome is a rare congenital disorder which is diagnosed at birth. It refers to a group of findings which are associated with the lack of amniotic fluid due to renal failure in an unborn infant.